Middle meningeal artery passes through ?
1. Foramen ovale
2. Foramen lacerum
3. Foramen rotundum
4. Foramen spinosum

Correct answer: 4. Foramen spinosum

Explanation: Foramen spinosum